Mrs Reeta Wardhan, a 50 year old female with rheumatoid arthritis is being considered for infliximab therapy. Which of the following test should be performed before beginning treatment
1. Liver function test
2. PPD skin test
3. Pulmonary function test
4. Visual examination

Correct answer: 2. PPD skin test

Explanation: Ref-Katzung 11/e p633 Infliximab is a monoclonal antibody against TNF-0. It is commonly used to treat moderate to severe rheumatoid arthritis particularly in patients .adverse effects, including reactivation of latent tuberculosis. All patients being considered for TNF-a inhibitor therapy should have a baseline PPD skin test to screen for latent tuberculosis..